Falciparum ligament contains?
1. Ligamentum venosus
2. Ligamentum teres
3. Linorenal ligament
4. None of the above

Correct answer: 2. Ligamentum teres

Explanation: Peritoneal ligamentsGastrosplenic ligament :- It extends from hilum of spleen to greater curvature of stomach. It contains short gastric and left gastroepiploic vessels.Linorenal ligament :- It extends from hilum of spleen to anterior surface of left kidney. It contains splenic vessels and tail of pancreas. It develops from dorsal mesogastrium.Gastrophrenic ligament :- It connects the greater curvature of stomach to diaphragm. It develops from dorsal mesogastrium.Phrenicocolic ligament :- It connects left colic (splenic) flexure to diaphragm. It supports the anterior border of spleen.Falciform ligament :- It demarcates the right and left lobes of liver. It contains ligamentum teres (remnant of left umblical vein) and paraumblical vein. It develops of ventral mesogastrium (ventral part).Coronary ligaments :- It contains superior and inferior layers which connect liver to diaphragm, and encloses the triangular 'bare area of liver'.Triangular ligaments (a right and a left) :- These connect right and left lobes of liver to diaphragm. It develops from ventral mesogastrium.